Galactorrhea may be associated with the use of all the following drugs except -
1. Methyldopa
2. Tricyclic antidepressants
3. Pyridoxine
4. Phenothiazine

Correct answer: 3. Pyridoxine

Explanation: Lactation in the absence of breastfeeding is known as galactorrhea. Drugs causing galactorrhea are dopamine antagonists like antipsychotics (phenothiazines, butyrophenones), antidepressants, antiemetics and dopamine-depleting drugs like reserpine, methyldopa. 
These dopamine antagonists elevate prolactin concentrations and result in galactorrhea.